Parameters used to estimate gestational age in last trimester – a) CR lengthb) Abdominal circumferencec) BPDd) Femur length
1. abc
2. acd
3. ac
4. bcd

Correct answer: 4. bcd

Explanation: Estimation of age by USG

1st trimester :- Crown - rump length (CRL).
2nd trimester :- Femoral length (FL), Biparietal diameter (BPD)
3rd trimester :- Femoral length, Biparietal diameter, abdominal circumference (AC), head circumference (HC).